Organogenesis is maximally affected in which period of gestation -
1. Germinal phase
2. Embryonic phase
3. Fetal phase
4. None

Correct answer: 2. Embryonic phase

Explanation: Ans. is 'b' i.e., Embryonic phase o The development of a new individual in the uterus involves three phasesi) Pre-embro phase or germinal phase (day 0-3 weeks).ii) Embro phase or embryonic period (weeks 4-8).iii) Fetal phase (weeks 8-38).o The embryonic period of development extends from fourth to eighth week of gestation and is also called period of organogenesis. During this period the main organ systems are developed from three germinal layers. However, the function of most of them is negligible except for cordiovascular system, i.e. cardiovascular system is the earliest to function.